Child starts making tower of 9 cubes by ?
1. 18 months
2. 24 months
3. 30 months
4. 36 months

Correct answer: 3. 30 months

Explanation: Ans. is 'c' i.e., 30 months Bang 2 cube 8 month Tower of 2 cubes 15 month 4 cubes 18 month 6 cubes 22 month 7 cube 24 month 9 cube 30 month 10 cube 36 month